All are transmitted by fecal-oral route except ?
1. Polio
2. Typhoid
3. Ascaris
4. Dracunculiasis

Correct answer: 4. Dracunculiasis

Explanation: Ans. is 'd' i.e., Dracunculiasis